The animal used for monoclonal antibodies production is
1. Mouse
2. Rabbit
3. Guinea pig
4. Monkey

Correct answer: 1. Mouse

Explanation: Monoclonal antibodies are produced from mouse or from human using hybridoma technology eg: reslizumab is a humanized monoclonal antibody Ref: Textbook of Microbiology Baveja 5th ed Pg 138